Proliferation independent agents include all the following except
1. Vincristine
2. Carmustine
3. Melphalan
4. Cyclophosphamide

Correct answer: 1. Vincristine

Explanation: Ref: KDT 6/e p821,882 Proliferation independent means cell cycle nonspecific agents